Which of the following is height independent index -
1. Ponderal
2. Brocas
3. Corpulence
4. Lorent'z

Correct answer: 3. Corpulence

Explanation: Ans. is 'c' i.e., Corpulence index Different indices use to determine obesity are:A. Body mass index/Qnetelet's index - FAO/WHO recommends it's use internationally as reference standard for assessing the prevalence of obesity in a community .